Which of the following cell does not have cytotoxic activity ?
1. NK cells
2. Cytotoxic T-cells
3. Helper T-cells
4. Antibody dependent cells

Correct answer: 3. Helper T-cells

Explanation: Ans. is 'c' i.e.,Helper T-cells